Which of the following is not true regarding herpes zoster ophthalmicus:
1. Frontal nerve is most common nerve involved
2. Dendritic ulcers are seen
3. Punctate epithelial keratitis
4. Cranial nerves can also be involved

Correct answer: 2. Dendritic ulcers are seen

Explanation: Pseudodendritic and not dendritic ulcers are seen. Herpes zoster ophthalmicus Acute infection of Gasserian ganglion of 5th cranial nerve by VZV MC nerve involved Frontal nerve, most specific nerve involved: Nasociliary Can involve all parts of eye though they are strictly limited to one side of head Pseudodendritic ulcer: HZV & Acanthamoeba. Pseudodendrites don't have terminal bulbs as seen in dendritic ulcer and more peripheral. Ocular Features Follicular conjunctivitis & hemorrhagic conjunctivitis Punctate epithelial keratitis Nummular keratitis: Tiny granular deposits surrounded by stromal haze Disciform keratitis Dendritic ulcers are caused by Herpes Simplex Virus not HZV